Durck granuloma is seen in -
1. Brain
2. Spleen
3. Liver
4. Lymphnode

Correct answer: 1. Brain

Explanation: Ans. is 'a' i.e., Brain o Durck granuloma --> Ring hemorrhages and small focal inflammatory reaction seen in Brain in cerebral malaria